Which does not cause Tinea Capitis
1. Epidermophyton
2. Microsporum
3. Trichophyton Rubrum
4. Trichophyton Violaceum/Schoenleinii

Correct answer: 1. Epidermophyton

Explanation: A i.e. Epidermophyton